Hypotony maculopathy, which of the following is not a cause?
1. Perforating Corneal ulcer
2. Overfiltering bleb
3. Cyclodialysis
4. Suprachoroidal hemorrhage

Correct answer: 4. Suprachoroidal hemorrhage

Explanation: Suprachoroidal Hemorrhage is not a cause of hypotony maculopathy. Hypotony maculopathy is low IOP associated with chorioretinal folds near macula, optic nerve head edema and vessel tortuosity. Causes Postoperative Hypotony Mitomycin C (MMC) toxicity of the ciliary body Overfiltering Bleb Wound Leak Traumatic Hypotony Scleral perforation Retinal Detachment Cyclodialysis Bilateral Hypotony Osmotic Dehydration Diabetic coma Uremia